Glutathione is composed of
1. Cysteine & Glycine
2. Glutamic acid, cysteine & glycine
3. Glutamic acid, glycine & cystine
4. Lysine & methionine

Correct answer: 2. Glutamic acid, cysteine & glycine

Explanation: Miester Cycle.Glutathione is composed of three aminoacids,which includes gamma-glutamate, cysteine and glycine.This is catalyzed by gamma glutamyl transferase.Ref: DM Vasudevan - Textbook of Biochemistry, 7th edition, page no: 198